All of the following statement are true regarding CNS infection, except :
1. Measles virus is causative agent of subacute sclerosing panencephalitis
2. Cytomegalo virus causes bilateral temporal lobe hemorrhagic infarction
3. Prion infection causes spongiform encephalopathy
4. JC virus is causative agent of progressive multifocal leukoencephalopathy

Correct answer: 2. Cytomegalo virus causes bilateral temporal lobe hemorrhagic infarction

Explanation: CNS manifestation of CMV :
– CMV rarely cause CNS infection.
– Two forms of CMV encephalitis are seen :

Resemble HIV encephalitis and present as progressive dementia.
Ventriculoencephalitis - Characterized by cranial nerve deficit, nystagmus and ventriculomegaly.

– In immunocompromised patient, CMV can also cause subacute progressive polyradiculopathy. Nowhere is given that CMV can cause temporal lobe infarction : Hence answer is OPTION 2
Other options :

Subacute sclerosing pan encephalitis:

– It is a rare chronic progressive demyelinating disease of CNS associated with a chronic permissive infection of brain tissue with measles virus.

Progressive Multifocal leucoencephalopathy:

– Progressive disorder characterised pathologically by multifocal areas of demyelination of varying size distributing throughout the CNS caused by JC virus.

Spongiform encephalopathy:

– Caused by prion infection; HIV infection.